Female with secondary amenorrhea with serum prolactin level 75 ng/ml is to be treated with ?
1. Cabergoline
2. Ganirelix
3. Clomiphene
4. Estradiol

Correct answer: 1. Cabergoline

Explanation: Ans. is 'a' i.e., Cabergoline